Foot eversion is caused by
1. Extensor digitorum
2. Peroneus longus
3. Tibialis anterior
4. Tibialis posterior

Correct answer: 2. Peroneus longus

Explanation: Also known as FIBULARIS LONGUS. It is muscle of lateral compartment of leg. ORIGIN: Upper 2/3rd of lateral surface of fibula, head of fibula & occasionally lateral tibial condyle. INSERTION: Undersurface of lateral sides of distal end of medial cuneiform & base of metatarsal I. INNERVATION: Superficial fibular nerve (L5, S1, s2) Function: eversion & plantar flexion of foot, support arches of foot. Muscle Origin Insertion Innervation Function a) extensor digitorum longus | anterior compartment of leg. Proximal 1/2 of medial surface of fibula & related surface of lateral tibial condyle. Via dorsal digital expansions into bases of distal & middle phalanges of lateral 4 toes. Deep fibular nerve (L5, S1) Extension of lateral 4 toes & dorsiflexion of foot b) tibialis anterior | anterior compartment. Lateral surface of tibia & adjacent interosseous membrane. Medial & inferior surface of medial cuneiform & adjacent surface on base of metatarsal I. Deep fibular nerve (L4, L5) Dorsiflexion of foot at ankle joint, inversion of foot, dynamic support of medial arch of foot c) tibialis posterior | posterior compartment of leg Posterior surfaces of interosseous membrane & adjacent regions of tibia & fibula Mainly to tuberosity of navicular & adjacent region of medial cuneiform Tibial nerve (L4, L5) Inversion & plantar flexion of foot, support medial arch of foot while walking.